Hassals corpuscles are seen in :
1. Thymus
2. Spleen
3. Lymph node
4. Appendix

Correct answer: 1. Thymus

Explanation: A i.e. Thymus